Posterior wall of axilla is not formed by
1. Subscapularis
2. Latissimus dorsi
3. Supraspinatus
4. Teres major

Correct answer: 3. Supraspinatus

Explanation: AXILLA: Is a pyramidal space situated between the upper part of the arm and the chest wall. BASE OR FLOOR: It is directed downwards, and is formed by skin, superficial fasciae. It is convex upwards in congruence with the concavity of axilla. ANTERIOR WALL: Formed by pectoralis major in front clavipectoral fascia pectoralis minor. The posterior wall of axilla is formed by Subscapularis above Teres major and Latissimus dorsi below MEDIAL WALL: It is convex laterally upper 4 ribs with their intercostal muscles the upper part of serratus anterior muscle LATERAL WALL: It is narrow because the anterior and posterior walls converge on it. It is formed by the following the upper part of part of the humerus Coracobrachialis and short head of biceps brachii. REF: BD Chaurasia 7th edition page no: 48.